Criteria for a pancreas donor include:
1. No history of diabetes
2. No liver donation
3. No replaced hepatic artery vessels arising from the superior mesenteric artery (SMA)
4. No previous splenectomy

Correct answer: 1. No history of diabetes

Explanation: - Combined liver-pancreas procurement should be routine, even if the right hepatic artery arises from the superior mesenteric artery. - In this situation, since the transplanted liver is the life-saving organ, the proximal superior mesenteric artery should remain with the liver and the distal superior mesenteric artery supplying the head of the pancreas can be reconstructed on a Y-graft of iliac artery with the splenic artery. - Successful pancreas transplantation can be performed using donors who have previously undergone splenectomy; however, there should be no significant pancreatitis and no history of diabetes in the donor.